Stimulation of bipolar cells results in all except:
1. Depolarisation
2. Hyperpolarisation
3. Neurotransmitter release
4. Action potentials

Correct answer: 4. Action potentials

Explanation: Ans: D (Action potentials) Ref: W F Ganong. Vision. In: Review of Medical Physiology. 23rd ed. California: McGraw-Hill Companies; 2010.Explanation:"Unlike most neurons, bipolar cells communicate via graded potentials, rather than action potentials "Genesis of Electrical Responses in RetinaElectrical responses of most of the other neural elements in the retina are local, graded potentialsOnly in the ganglion cells, all-or-none action potentials (transmitted over appreciable distances) are generatedResponses of the rods, cones, and horizontal cells are hyperpolarizingTable 1 : Normal transport of substances bv the intestine and location of maximum absorption or secretion Small Intestine Absorption of:Upper(Duodenum & Jejunum)MidLower(Terminalileum)ColonSugars (glucose, galactose, etc.+++++++0Amino acids+++++++0Water-soluble and fat-soluble vitamins except vitamin B12+++++00Long-chain fatty acid absorption and conversion to triglyceride++++++0Bile salts+++++ Vitamin B120++++0Na++++++++++++K++++SecretedCa2+++++++?Fe2++++-+++?Cl-+++++++SO42-+++0? Table 2 : Function of HypothalamusRegionAreaNucleusFunctionAnteriorMedialMedial preoptic nucleus* Regulates the release of gonadotropic hormones from the adenohypophysis* Contains theseally dimorphic nucleus, whch releases GnRH, differential development between sexes is based upon in utero testosterone levels* Vasopressin releaseSupraopticnucleus (SO)Paraventricularnucleus* (PV)* Thyrotropin-releasing hormone release* Corticotropin-re lea sing hormone release* Oxytocin releaseAnterior hypothalamicnucleus (AH)* Thermoregulation* Panting* Sweating* Thyrotropin inhibition Supra chiasmatic nucl eus(SC)Lateral preoptic nucleus* Circadian rhythmsLateralLateral nucleus (LT)* Thirst and hungerPart of supracptic nucleus (SO) Dorsomedial hypothalamic nucleus (DM)Ventromedialnucleus (VM)Arcuate nucleus (AFt) TuberalMedial* Blood Pressure* Heart Rate* Gl stimulation* Satiety* Neiroendocrine control* Growth hormone-re lea sing hormone (GHRH)* Feeding* Dopamine* Thirst and hungerLateralLateral nucleus (LT) Lateral tuberal nucleiPosteriorMedialMammillary nuclei(part of mammillary bodies) (MB)Posterior nucleus (PN)* Memory* Increase bbod pressure* Pupillary dilation* Shivering* Vasopressin releaseLateralLateral nucleus (LT) * Responses of the bipolar cells are either hyperpolarizing or depolarizing.* Aniacrine cells produce depolarizing potentials.